Which of the following bacterium is non-motile?
1. Klebsiella spp.
2. Citrobacter spp.
3. Escherichia spp.
4. Salmonella spp.

Correct answer: 1. Klebsiella spp.

Explanation: Ref: Colour Atlas and Textbook of Medical Microbiology. Elmer W Koneman, 5th edition, Page 195Explanation:Please note that all the bacteria asked in the options are members of the Enterobacteriaceae.Here is a list of enterobacteriaceae members with their motilitv.Motile Enterobacteriaceae aceae membersNon-motile Enterobacteri- membersEscherichia col iShigella spp.Edwardsiella tardaKlebsiella spp.Salmonella spp.Yersinia pestisCitrobacter spp.(Mnemonic: SKY )Enlerobacter spp. Hafnia Panloea Proteus spp. Morganella Providencia spp. Organisms with different motility at two different temperatures:o Enterobacteriaceae member - Yersinia enterocolitica.o Non-enterobacteriaceae member - Listeria monocytogenes.